False about scabies is all except
1. Not transmitted sexually.
2. Pruritis is predominantly absent.
3. Baby mite develops into adult in 30days.
4. Erythematous papules develop due to delayed type 4 hypersensitivity.

Correct answer: 4. Erythematous papules develop due to delayed type 4 hypersensitivity.

Explanation: Scabies is characterised by pruritis mainly. 
Sexual transmission is possible mode of initial infection, although it can be seen in household contacts.
Baby mite develops into adult in approximately 10days.